Central sulcus is an example of
1. Limiting sulcus
2. Axial sulcus
3. Operculated sulcus
4. Complete sulcus

Correct answer: 1. Limiting sulcus

Explanation: Limiting sulcus develops along the plane of the cortical areas, which differ in the function they primarily subserve. Central sulcus (of Rolando) forms the boundary between the motor area of cerebral cortex in front and sensory area behind. Calcarine sulcus is also a limiting sulcus. Axial sulci develop along the long axis of rapidly growing homogenous areas. Operculated sulcus is similar to limiting sulcus in that it separates functionally different areas but transition occurs in the lip and not on the floor. Complete sulcus is deep enough to produce an elevation in the wall of ventricle.(Ref: Vishram Singh textbook of clinical neuroanatomy, second edition pg- 142)